Driving a car is possible due to
1. Implicit memory
2. Recent memory
3. Remote memory
4. All of the above

Correct answer: 1. Implicit memory

Explanation: (A) Implicit memory# TYPES OF LONG TERM MEMORY:> Implicit memory, Explicit memory> Long term memory = Implicit memory + Explicit memory# EXPLICIT MEMORIES are memories that we can consciously remember. Most of what we commonly consider "memory" is explicitly memory. Answers you give on an exam are a product of explicit memory. Everything you "know" you remember is explicit memory.Explicit memory may be further subdivided into declarative memories and episodic memories> Explicit memory = Declarative memory + Episodic memory> Declarative memories are memories about general factual information, such as that George Washington was the first president of the United States.> Episodic memories are personal, autobiographic memories, such as what your first day of school was like, or what you did on your last vacation.# IMPLICIT MEMORIES are memories that we do not consciously remember, which nonetheless can be show to influence our behavior. Implicit memory is close to Freud's concept of "unconscious thought." Since we are not consciously aware of implicit memories, it is difficult to demonstrate that they exist.Implicit memory may be further divided into procedural memory and conditioning effects.> Implicit memory = Procedural memory + Conditioning effects> Procedural memories are memories for how to do things, such as riding a bike or driving a car.> Conditioning effects are memories that are formed more or less automatically through the processes of classical and operant conditioning, which we will study future chapters.> Implicit memories and explicit memories seem to be processed and stored in different parts of the brain. The cerebellum appears to be responsible for implicit memories. The hippocampus (located deep in the temporal lobe of the brain) appears to be more responsible for explicit memories.